All of the following are features of central retinal artery occlusion except
1. Cherry red spot at macula
2. Multiple superficial haemorrhages
3. Marked narrowing of retinal arterioles
4. Retinal oedema

Correct answer: 2. Multiple superficial haemorrhages

Explanation: Central retinal artery occlusion (CRAO) It occurs due to obstruction at the level of lamina cribrosa. clinical features: Symptoms: Patient complains of sudden painless loss of vision. Signs: Direct pupillary light reflex is absent. On ophthalmoscopic examination retinal arteries are markedly narrowed but retinal veins look almost normal. Retina becomes milky white due to oedema. Central part of the macular area shows cherry-red spot due to vascular choroid shining through the thin retina of this region. Blood column within the retinal veins is segmented (cattle- trucking). After a few weeks the oedema subsides, and atrophic changes occur which include grossly attenuated thread-like arteries and consecutive optic atrophy. Ref:- A K KHURANA; pg num:-255